The external urethral sphincter is located in which of the following regions?
1. Ischiorectal fossa
2. Extrapeoneal space
3. Retropubic space
4. Deep perineal space

Correct answer: 4. Deep perineal space

Explanation: The external urethral sphincter is the voluntary sphincter composed of skeletal muscle, the sphincter urethrae muscle. This muscle, along with the deep transverse perineal muscle, are in the deep perineal space and form the muscular layer of the urogenital diaphragm. The internal urethral sphincter is composed of smooth muscle in the neck of the bladder. The internal and external sphincters are both open during micturition. During ejaculation, the external sphincter is open and the internal sphincter is closed.